All of the following are seen in active chronic hepatitis except-
1. IgM against core antigen
2. Total core antibody
3. HbeAg
4. HbsAg

Correct answer: 1. IgM against core antigen